LBW is birth wt below -
1. 1.5 kg
2. 2.5 kg
3. 3.0 kg
4. 3.5 kg

Correct answer: 2. 2.5 kg

Explanation: question repeated